All the following are true for mitral valve prolapse except
1. Transmission may be as an autosomal dominant trait
2. Majority of the case present with features of mitral regurgitation
3. The valve leaflets characteristically show myxomatous
4. The disease is one of the common cardiovascular manifestations og Marfan's syndrome

Correct answer: 2. Majority of the case present with features of mitral regurgitation

Explanation: Ref Harrison 19 th ed pg 1546 Most patients are asymptomatic and remain so for their entire lives. However, in North America, MVP is now the most common cause of isolated severe MR requiring surgical treatment. Arrhythmias, most commonly ventricular premature contractions and paroxysmal supraventricular and ventricular tachycardia, as well as AF, have been reported and may cause palpitations, light-headedness, and syncope.